Woods lamp used in diagnosis of :
1. P. versicolor
2. Vitiligo
3. Porphyria
4. All

Correct answer: 4. All

Explanation: D i.e. All, A i.e. P. Versicolor; B i.e Vitiligo; C i.e. Porphyria